First line of management for hyperkalemia presenting with ECG changes is:
1. Glucose insulin drip
2. Calcium gluconate
3. Haemodylasis
4. Potassium chelating resins

Correct answer: 2. Calcium gluconate

Explanation: Calcium gluconate should be used as a first-line agent in patients with ECG changes or severe hyperkalemia to protect cardiomyocytes. Insulin and glucose combination is the fastest acting drug that shifts potassium into the cells. Hemodialysis is the most effective and reliable method to remove potassium from the body.